Orally acting direct thrombin inhibitor is?
1. Bivalirudin
2. Ximelgatran
3. Lepirudin
4. Argatroban

Correct answer: 2. Ximelgatran

Explanation: Ximelgatran is an oral direct thrombin inhibitor. All the other given drugs are parenterally acting direct thrombin inhibitor. From medical pharmacology padmaja 4th edition Page no 334